True statement about pelvic abscess is
1. Uncommon cause of intra peritoneal abscess
2. Associated with pyothorax
3. May spontaneously drain via rectum
4. Identified by CT if there is full bladder

Correct answer: 3. May spontaneously drain via rectum

Explanation: Pelvic abscess :

It is common cause intraperitoneal abscess.
It is easily identified by CT if the bladder is empty.